Most common sign/symptom of phaeochromocytoma
1. Hypertension
2. Headache
3. Sweating
4. Palpitation

Correct answer: 1. Hypertension

Explanation: Clinical signs of phaeochromocytomaSymptomsPrevalence (%)Hypertension Paroxysmal Continuous 80-9050-6030Headache 60-90Sweating 50-70Palpitation 50-70Pallor 40-45Weight loss 20-40Hyperglycaemia 40Nausea 20-40Psychological effects 20-40Ref: Bailey and Love 27e pg: 845